Proper technique of endotracheal intubation involves:
1. Flexion of neck
2. Flexion of the neck and extension of the atlantooccipital joint
3. Extension of the neck
4. Extension of the neck and flexion of the atlantooccipital joint

Correct answer: 2. Flexion of the neck and extension of the atlantooccipital joint

Explanation: Ans: B i.e. Flexion of the neck and extension of the atlanto-occipital joint Optimal head and neck positioning while intubation is obtained by flexion of the neck and extension of the atlanto-occipital joint